Most common site of Gallstone ileus:
1. Caecum
2. 2nd part of duodenum
3. Terminal ileum
4. Stomach

Correct answer: 3. Terminal ileum

Explanation: Gallstone ileus is an unusual complication of chronic cholecystitis due to impaction of gallstone in ileum after passing through a biliary-enteric fistula. Impacted gallstone usually in the terminal ileum at ileocecal valve Rigler's Triad: Pneumobilia Small bowel obstruction Gallstone at terminal ileum